Antrum of Highmore is another name for:
1. Maxillary
2. Ethmoid
3. Sphenoid
4. Frontal

Correct answer: 1. Maxillary

Explanation: Maxillary sinus is also called as antrum of highmore and is the first to develop in human fetus.It is the largest paranasal sinus (15 ml capacity in adults).